A 50-year-old man has a history of frequent episodes of renal colic with high calcium renal stones. The most useful diuretic in the treatment of recurrent calcium stones is:
1. Furosemide
2. Spironolactone
3. Hydrochlorthiazide
4. Acetazolamide

Correct answer: 3. Hydrochlorthiazide

Explanation: Thiazides cause hypercalcemia by decreasing the renal excretion of Ca2+. These are useful in a patient having hypercalciurea. In such a patient, thiazides decrease the excretion of Ca2+ in the kidney and thus reduces the chances of stone formation.